All of the following are seen in active chronic hepatitis B except,
1. IgM against core antigen
2. Total core antibody
3. HbeAg
4. HbsAg

Correct answer: 1. IgM against core antigen

Explanation: IgM against core antigen What is chronic active hepatitis ? . Chronic hepatitis B is usually classified by histological features such as grade and stage. The other way to classify chronic hepatitis is based on relative level of HBV replication :A) A Replicative phase of chronic hepatitis B is known as chronic active hepatitisQ. . Characterized by the presence of the markers of HBV replication such as HBeAg and HBVDNA. B) Non replicative phase of chronic hepatitis This is characterized by the absence of conventional markers of HBV replication i.e., (HBeAg and HBVDNA). Thus the serological markers of chronic active hepatitis B are :? HBsAg HBeAg HBVDNA IgGHBcAg "IgM AntiHBcAg is nevere seen in chronic hepatits, its presence confirms that hepatitis is acute". Antibodies to HBcAg Antibodies to HBcAg are not protective but we can use them to understand how long the infection has been going. IgM antiHBcAg Acute infection 1gM antiHBcAg = Chronic infection The role of IgM antillBc in the diagnosis The presence of HBsAg with or without 1gM anti HBc represents HBV infection.e If IgM anti HBc is present, the HBV infection is considered acute and if IgM antiHBc is absent the infection is considered chronic.e A diagnosis of acute hepatitis can be made even in the absence of HBsAg if IgM Anti HBc is detectable.